Which of the following may least be used as an abutment:
1. Tooth with minimum crown
2. Tooth with short tapered crown and conical roots
3. Rotated and tipped tooth
4. Pulp treated tooth

Correct answer: 2. Tooth with short tapered crown and conical roots